Which amino acids are present in collagen?
1. Glycine and cysteine
2. Glycine and proline
3. Glycine and arginine
4. Arginine and tryptophan

Correct answer: 2. Glycine and proline

Explanation: The amino acid present in large quantities in collagen are GLYCINE, PROLINE and HYDROXYPROLINE.
Approximately 1/3rd of the amino acid are contributed by Glycine i.e every 3rd amino acid in collagen is GLYCINE.
Reference :- Satyanarayana 4th Edition, Pg no. 488